Hemorrhagic pericarditis is seen in -
1. Uremia
2. TB
3. Neoplasm
4. All

Correct answer: 4. All

Explanation: Ans. is 'd' i.e., All Pericarditis may be of following types A. Acute pericarditis o Acute pericarditis is the most common pathological process involving the pericardium. o It is characterized by accumulation of fluid in the pericardial space, i.e. pericardial effusion. o It may be divided, depending on the type of exudate that accumulates in the pericardium. 1. Fibrinous and serofibrinous pericarditis o These two anatomic forms are the most frequent type of o There is serous fluid mixed with fibrinous exudate. o Common causes include acute MI, Dressler syndrome, uremia, radiation, SLE, RF and trauma. May resolve or organized. 2. Serous pericarditis o There is serous inflammatory exudate. It is characteristically produced by non-infectious inflammation, such as RF, SLE, scleroderma, tumors, and uremia. May resolve without any consequences. 3. Purulent pericarditis o This is due to infection with a pyogenic organism. o There is accumulation of purulent exudate (Pus). o Resolution is unusual, and the usual outcome is organization. Because of the great intensity of inflammatory response, the organization frequently produce chronic constrictive pericarditis. 4. Hemorrhagic pericarditis o An exudate composed of blood mixed with a fibrinous or suppurative effusion accumulate in the pericardial space. o Most common cause is neoplastic involvement of the pericardial space. o Other causes are T.B., Uremia (API medicine - 434), Cardiac surgery, patients with bleeding diathesis. 5. Caseous pericarditis o Accumulation of caseous material in pericardial space. Almost invariably due to TB. B. Chronic or Healed pericarditis o Chronic pericarditis is inflammation that begins gradually, is long lasting, and results in fluid accumulation in the pericardial space or thickening of pericardium. o Chronic pericarditis may also occur as a healed stage (organization) of acute pericarditis. o Chronic pericarditis may be of following types ? 1. Adhesive pericarditis It is the stage of organization and healing by formation of fibrous adhesions in the pericardium following fibrinous, suppurative or hemorrhagic pericarditis. o Chronic adhesive pericarditis differs from chronic constrictive pericarditis in not embarrasing the function of heart. 2. Chronic constrictive pericarditis o Characterized by dense fibrous or fibrocalcific thickening of the pericardium resulting in mechanical interference with the function of the heart and reduced cardiac output. o The condition usually results from a long standing preceding causes such as - (i) Tubercular pericarditis (ii) Purulent pericarditis (iii) Haemopericardium 3. Pericardial plaques (milk spots, soldier's spots) o These are opaque, white, shining and well circumscribed areas of arganization with fibrosis in the pericardium. o They are seen most frequently on the anterior surface of right ventricle. o They arise from healing of preceding pericarditis.